The stages of early childhood caries were given by:
1. Harris and Garcia-Godoy
2. Caufield and Griffen
3. Caufield and Tnnanoff
4. None of the above

Correct answer: 1. Harris and Garcia-Godoy

Explanation: The ECC is categorised in 4 stages by Harris and Garcia-Godoy based on the severity:

Very mild
Mild
Moderate
Severe